Skeletal muscle relaxant of choke in the liver and renal disease is?
1. Mivacurium
2. Atracurium
3. Gallium
4. Vecuronium

Correct answer: 2. Atracurium

Explanation: ANSWER: (B) AtracuriumREF: Lee synopsis of anesthesia 12th ep. 215Repeat from December 2010, June 2011Muscle relaxantRoute of eliminationPancuronium, Vecuronium ,, RapacuroniumLiverVecuronium, RocuroniumBiliarySch, MivacuriumPseudocholinesteraseGallamine, MetocurineRenalAtracurium t ds-atracuriumHoffman's elimination